Spiegelberg criteria is used for the diagnosis of:
1. Tubal pregnancy
2. Ovarian pregnancy
3. Cervical pregnancy
4. Abdominal pregnancy

Correct answer: 2. Ovarian pregnancy

Explanation: Ans. B. Ovarian pregnancyThe most common site of ectopic pregnancy is fallopian tube. Ectopic at other sites is secondary to ruptured ectopic from fallopian tube unless proved otherwise. The criteria defining primary ectopic at these uncommon sites are as followsRubin's----primary cervical, Spiegelberg----primary ovarian, Studdiford---- primary abdominal pregnancy